Why is chemical cardioversion considered for patients of recurrent episodes of Atrial fibrillation?
1. It does not change the rhythm but improves the rate
2. It prevents the formation of a clot in the atrium
3. It is more effective than electrical cardioversion
4. It can be done electively without sedation

Correct answer: 4. It can be done electively without sedation

Explanation: Option A: No, it is wrong statement. Because chemical cardioversion changes & controls the rhythm. Option B: To prevent formation of clot in atria primarily -Novel oral anti-clotting agent(NOACs)/ Rivaroxaban is used Option C: Electrical cardioversion is more superior than chemical cardioversion. Option D: Yes, chemical cardioversion can be done electively without sedation.